Stain for detecting early cancer in the oral and pharyngeal cavity is
1. Silver nitrate
2. Toluidine blue
3. Congo red
4. Zinc chloride

Correct answer: 2. Toluidine blue